Structure NOT passing through esophageal opening
1. Esophagus
2. Phrenic nerve
3. Vagus nerve
4. Gastric aery branches

Correct answer: 2. Phrenic nerve

Explanation: At T8 - IVC hiatus in central tendon through which IVC and few branches of Rt. phrenic nerve passes At T10 - Oesophageal opening is present through which passes: Esophagus Esophageal branch of left gastric aery Anterior and posterior vagal trunk At T12 - Aoic hiatus posterior to diaphragm formed by median arcuate ligament through which passes: Aoa Thoracic duct Azygous vein